Most common complication of extracapsular cataract surgery is:
1. Retinal detachment
2. Opacification of posterior capsule
3. Vitreous haemorrhage
4. Bullous keratopathy

Correct answer: 2. Opacification of posterior capsule

Explanation: Ans. Opacification of posterior capsule